A 25yr old women with myoclonic seizures is well controlled on valproate. she indicates that she is intrested in conceiving in next year. With respect to her antiepileptic medication, wof should be considered
1. Leave her on current therapy
2. Switch to lamotrigine
3. Decrease valproate dose
4. None of the above

Correct answer: 2. Switch to lamotrigine

Explanation: Lamotrigine Mech of action:- Lamotrigine is a broad-spectrum antiepileptic. It modifies maximal electric shock and decreases electrically evoked as well as photic after-discharge duration. Prolongation of Na+ channel inactivation and suppression of high frequency firing has been demonstrated. In addition, it may directly block voltage sensitive Na+ channels, thus stabilizing the presynaptic membrane and preventing release of excitatory neurotransmitters, mainly glutamate and aspartate. This may account for its broader-spectrum of antiseizure efficacy. uses:- Absence and myoclonic or akinetic epi-lepsy cases have also been successfully treated. Reduction in seizure frequency or complete control is obtained as frequently as with carbamazepine. Pharmacokinetics:- Lamotrigine is well absorbed orally and metabolized completely in liver. Its t 1/2 is 24 hr, but is reduced to ~16 hr in patients receiving phenytoin, carbamazepine or phenobarbitone. On the contrary valproate inhibits glucuronidation of lamotrigine and doubles its blood level, but valproate levels are lowered by lamotrigine. Reduce the dose of lamotrigine to half in patients taking valproate. However, metabolism of other anticonvulsants and oral contraceptives is not altered. Ref:- kd tripathi;pg num:-419